Joint between sphenoid & vomer is
1. Gomphosis
2. Syndesmosis
3. Symphysis
4. Schindylesis

Correct answer: 4. Schindylesis

Explanation: Schindylesis is that form of articulation in which a thin plate of bone is received into a cleft or fissure formed by the separation of two lamina in another bone, as in the articulation of the rostrum of the sphenoid and perpendicular plate of the ethmoid with the vomer, or in the reception of the latter in the fissure between the maxilla and between the palatine bones. Ref: Henry Gray. Anatomy of the Human Body.